HCG is secreted by all except-
1. Embryonal cell cancer
2. Choriocarcinoma
3. Polyembryoma
4. Endodermal sinus tumour

Correct answer: 4. Endodermal sinus tumour